Most potent mineralocorticoid is:
1. Aldosterone
2. DOCA
3. Fludrocortisone
4. Triamcinolone

Correct answer: 1. Aldosterone